Example of artificial passive immunity?
1. Infection
2. Mother to child
3. Vaccine
4. Readymade immunoglobulin

Correct answer: 4. Readymade immunoglobulin

Explanation: Infection - Natural active
Mother to child - Natural passive
Vaccine - Artificial active
Immunoglobulins - Artificial passive